Notching of ribs occurs in all EXCEPT
1. Coarctation of aorta
2. Neurofibromatosis
3. Hypothyroidism
4. Osteogenesis imperfecta

Correct answer: 3. Hypothyroidism